Renal artery stenosis may occur in all of the following except
1. Atherosclerosis
2. Fibromuscular dysplasia
3. Takayasu arteritis
4. Polyarteritis nodosa

Correct answer: 4. Polyarteritis nodosa

Explanation: In PAN, renal involvement most commonly manifests as hypertension, renal insufficiency, or hemorrhage due to microaneurysms. Takayasu arteritis may cause renal stenosis.Ref: Harrison's 18/e p2375, 2796